Earnest Klein has classified habits into
1. Compulsive and non-compulsive habits
2. Intentional and non-intentional habits
3. Primary and secondary habits
4. Pressure and non-pressure habits

Correct answer: 2. Intentional and non-intentional habits